Hymen in false virgin is:
1. Annular
2. Elastic
3. Imperforate
4. Semilunar

Correct answer: 2. Elastic

Explanation: Ans. (b) ElasticRef: The essentials of FSM by KS Narayan Reddy 31st ed. P 365-66* The presence of unruptured hymen is a presumption, BUT IS NOT AN ABSOLUTE PROOF OF VIRGINITY.* This makes the diagnosis of virginity difficult. With an intact hymen there are: TRUE VIRGINS and FALSE VIRGIN.* References states: "hymen may not he ruptured even after repeated acts of coitus if it is loose, lax, folded and elastic or thick, tough and fleshy which permits displacement, distortion and stretching without rupture'Also KnowMC Type of hymen: Semilunar/ Crescentic